Major constituent of surfactant is -
1. Dipalmitoyl lecithine
2. Dipalmitoyl cephaline
3. Dipalmitoyl serine
4. Dipalmitoyl inositol

Correct answer: 1. Dipalmitoyl lecithine

Explanation: Ans. is 'a' i.e., Dipalmitoyl lecithin o The major (65%) constituent of surfactant is dipalmitoylphosphatidylcholine (dipalmitoyl-lecithin); which is a phospholipid.